Spread by mosquitoes:
1. Dengue
2. Kala azar
3. Trypanomiasis
4. Listeriosis

Correct answer: 1. Dengue

Explanation: Vector Diseases transmitted Culex Bancroftian filariasis JE West Nile Fever Anopheles Malaria Filaria (outside India) Aedes Yellow fever Dengue Chikungunya Rift Valley Fever Mansonia Brugian filariasis and Chikungunya Kala-azar by Sandfly Trypanosomiasis African - Tsetse fly American (Chagas) - Triatomine bug Listeriosis is by direct transmission by drinking infected milk REF: PARK'S TEXTBOOK OF PREVENTIVE AND SOCIAL MEDICINE, 25TH EDITION, PG NO. 832